Sound intensity of whispering is-
1. 30 dB
2. 90 dB
3. 2 dB
4. 120 dB

Correct answer: 1. 30 dB

Explanation: Ans. is 'a' i.e., 30 dB o Intensity is the strength of sound which determines its loudness. It is usually measured in decibels (dB).o Following are intensities when a person is at a distance of one meter from sound source.Intensity WhisperNormal conversationShoutDiscomfort of earPain in ear30 dB60 dB90 dB120dB130 dB